After a minor head injury a young patient was unable to close his left eye and had drooling of saliva from left angle of mouth. He is suffering from -
1. VIIthnerve injury
2. Vth nerve injury
3. IIIrd nerve injury
4. Combined VIIthand IIIrdnerve injury

Correct answer: 1. VIIthnerve injury